Rotation of mid gut loop occurs around:
1. Superior mesenteric artery
2. Inferior mesenteric artery
3. Middle-colic artery
4. Superior rectal artery

Correct answer: 1. Superior mesenteric artery

Explanation: Ans. A Superior mesenteric arteryRef: Gray's Anatomy 41st ed. P 1054Rotation of Midgut Loop* Midgut loop has 2 ends: Cranial end and caudal end.* The primary intestinal loop rotates around an axis formed by the superior mesenteric artery* The rotation of midgut occurs when herniated intestinal loop returns back to the abdominal cavity.* It begins at the end of third month of intrauterine life* The primary intestinal loop rotates around an axis formed by the superior mesenteric artery, which divides the midgut loop into 2 segments:* Proximal (prearterial) segment- present cranially# Give rise to: Distal half of duodenum, Jejenum, Ileum except its terminal part* Distal (postarterial) segment- present caudally# Give rise to terminal part of ileum. Cecum, appendix, ascending colon, proximal 2/3rd of transverse colon.In order to return to abdominal cavity, the midgut loop undergoes anticlockwise rotation of 90deg thrice - total rotation of 270deg.# The first 90deg rotation occurs outside abdominal cavity (within umbilicus), remaining 2 rotations in abdominal cavityStepwise midgut rotation